Regarding Brucellosis, all of these are true except?
1. Man to man transmission
2. A zoonosis
3. Blood cultures used in diagnosis
4. B melitensis is the most common cause

Correct answer: 1. Man to man transmission

Explanation: Ans. is 'a' i.e., Man to man transmission Man to man spread does not ordinarily occur, but very rarely transmision has been reported through placenta, breast feeding and sex. . Human brucellosis is a zoonosis, acquired from animals directly or indirectly. . Blood culture is most definitive method for the diagnosis of brucellosis. - Ananthanarayan 7"/e p. 349. . Br. melitensis is the commonest cause of symptomatic disease in humans. - Harrison 18`"/e p. 1296 . Brucella is transmitted to humans by accidental contact with infected animal feces, urine, milk and tissues. The common sources of infection for human are : . Unpasteurized milk, milk products. (Most important) . Cheese . Occupational contact with infected animals e.g. farmers, veterinarians, slaughter house workers. . Occasionally the airborne infection may occur due to inhalation of dried material of animal origin. . Infection by contact occurs when brucellae in infected tissues, blood, urine, vaginal discharge, aborted fetuses and placenta enter through abraded skin, mucosa or conjuctiva (mucocutaneous route). Note ? . Erythritol has a specially stimulating effect on the growth of brucellae. Brucellae have a predilection for the placenta due to presence in it of erythritol. . Culture media for brucella --> Serum dextrose agar, serum potato infusion agar, Trypticase Soy agar, Tryptase agar. . Brucell is capnophilic (require 5-10% CO2 for growth).